Accidental pulpal exposure in an area remote from an extensive carious lesion should be treated by
1. Direct pulp capping
2. Indirect pulp capping
3. Pulpotomy
4. Pulpectomy

Correct answer: 1. Direct pulp capping